The following should be avoided in asthma patient
1. NSAID
2. Terbutaline
3. Theophylline
4. Steroids

Correct answer: 1. NSAID

Explanation: Aspirin and other painkillers. Approximately 10% to 20% of adults with asthma have sensitivity to aspirin or a group of painkillers called non-steroidal anti-inflammatory drugs -- or NSAIDS -- such as ibuprofen ( Motrin , Advil) and naproxen ( Aleve , Naprosyn ). Ref Davidson edition23rd pg 576